String sign is seen in –
1. Crohns disease
2. TB of the ileocaecal region
3. Idiopathic hyperophic pyloric stenosis
4. All of the above

Correct answer: 4. All of the above

Explanation: String sign → Congenital hypertrophic pyloric stenosis, Ileocecal tuberculosis.
String sign of Kantor → Crohn's disease
String of bead sign → Small bowel obstruction